Dutch cap is a
1. Diaphragm
2. Condom
3. Vaginal sponge
4. Vaginal ring

Correct answer: 1. Diaphragm

Explanation: Dutch cap is diaphragm which is used as a vaginal barrier The diaphragm is a shallow cup made of synthetic rubber or plastic material Reference : Park's textbook of preventive and social medicine, 23rd edition, Page no: 495